Heat stiffening in muscles occurs above temperature (degC)
1. 30
2. 40
3. 50
4. 60

Correct answer: 4. 60

Explanation: D i.e. 60degC Heat stiffening or heat coagulation is found in bodies exposed to heat ie temperatures above 65degC (Reddy) / 70degC (Parikh) as is seen in death due to burning, high voltage electrocution (electric shock), or falling into hot liquid.